Which of the following are features of iron deficiency anemia except
1. Increased RDW
2. Decreased serum iron
3. Decreased TIBC
4. Decreased serum ferritin

Correct answer: 3. Decreased TIBC

Explanation: Ref Harrison 19 th ed pg 627 The serum iron level repre- sents the amount of circulating iron bound to transferrin. The TIBC is an indirect measure of the circulating transferrin. The normal range for the serum iron is 50-150 mg/dL; the normal range for TIBC is 300-360 mg/dL. Transferrin saturation, which is normally 25-50%, is obtained by the following formula: serum iron x 100 / TIBC. Iron- deficiency states are associated with saturation levels below 20%. There is a diurnal variation in the serum iron.